Aspirin is contraindicated in
1. Rheumatoid arthritis
2. Peptic ulcer
3. Unstable angina
4. Myalgia

Correct answer: 2. Peptic ulcer

Explanation: B. i.e. (Peptic Ulcer) (190- KDT 6th)* Aspirin is contra indicated in1. Peptic ulcer, bleeding tendencies2. Viral infection in children (Develop Reys syndrome)3. Warfarin*** Aspirin is avoided in1. Chronic liver disease2. Diabetes3. Breast feeding mothers4. Avoid high dose in G-6PD deficient individuals**Aspirin should be stopped 1 week before elective surgery ***.* Salicylism (tinnitus, and hearing difficulty, dizziness, headache and confusion) develops on high doses of aspirin intake* Aspirin is one of the worst for causing gastric irritation* Low doses of aspirin also decreases the incidence of transient ischaemic attacks* Analgesic effect of Aspirin is due to Inhibit prostaglandin synthesis (cyclo- oxygenase decreases)**